A pt. comes with rectal carcinoma situated 6 cm above dentate line with no nodal metastasis T/t of choice will be -
1. Ant resection -
2. APR
3. Radiotherapy
4. Hartman's procedure

Correct answer: 1. Ant resection -

Explanation: Here in this patient adequate margin is available for a colorectal anastomosis, so a LAR procedure can be done.